Risk of HIV transmission is not seen with:
1. Whole blood
2. Platelets
3. Plasma derived Hepatitis B vaccine
4. Leucocytes

Correct answer: 3. Plasma derived Hepatitis B vaccine

Explanation: Transmission of HIV by transfusion of blood or blood products has occurred in three groups of individuals: intravenous drug abusers, hemophiliacs who received factor VIII and factor IX concentrates, and random recipients of blood transfusion 1.) Whole blood: definitely responsible for causing transmission of HIV. 2.) Platelets: also responsible for causing transmission of HIV 3.) Plasma derived Hepatitis B vaccine: while its preparations we use subzero temperatures, which results in the destruction of the HIV virus. 4.) Leucocyte - also responsible for causing transmission of HIV. Commonest subtype of HIV seen in India- HIV-1 subtype C.